A patient who is being treated for temporal lobe epilepsy (complex partial seizures) and who is having recurrent seizures on his chronic regimen of carbamazepine is given phenobarbital as a second drug. However, the seizures increase in frequency. What is the probable reason for the apparent deleterious effect of adding phenobarbital -
1. Intracerebral bleeding from worsening bone marrow supression
2. Decreased carbamazepine level
3. Decreased stability of CNS neuronal membranes
4. Hypokalemia

Correct answer: 2. Decreased carbamazepine level